Collection of urine sample of a patient of TB/kidney is done :
1. 24 hrs urine
2. 12 hrs urine
3. in early morning
4. Anytime

Correct answer: 3. in early morning

Explanation: Ans. Is 'c' i.e. In early morning " Genitourinary tuberculosisGenitourinary tuberculosis accounts for about 15% of all extrapulmonary cases.Local symptoms predominate-Urinary frequency (MC) dysuria hematuria and flank pain are common presentations.Urinalysis gives abnormal results in 90% of cases, revealing pyuria and hematuria. The documentation of culture-negative pyuria in acidic urine raises the suspicion of tuberculosis.An IVP helps in diagnosis calcifications & ureteral strictures are suggestive findings.Culture of three morning urine specimens yields a definitive in nearly 90% of cases." -Harrison